Commonest cause of convulsions in a child with fever is-
1. Febrile convulsions
2. Meningitis
3. Epilepsy
4. Hypothyroidism

Correct answer: 1. Febrile convulsions

Explanation: Ans. is 'a' i.e., Febrile convulsions